Leg ulcers are not seen in -
1. TB
2. Syphilis
3. anemia
4. psoriasis

Correct answer: 4. psoriasis

Explanation: Ans is 'd' i.e., Psoriasis Leg UlcerCausesVascularVenous InsufficiencyVenous Stasis UlcerArteriovenous MalformationArterial or ischemic causesPeripheral Vascular DiseaseBuerger's DiseaseRaynaud's Syndrome (Raynaud's Phenomenon)EmbolismVasculitic UlcerRheumatoid ArthritisSystemic Lupus ErythematosusSclerodermaPolyarteritisLymphaticLymphangitisLymphedemaInfectiousCellulitisOsteomyelitisSyphilisDermatitisContact Dermatitis or other allergic conditionBullous DiseaseMiscellaneousPrimary or metastatic neoplasmTraumaDrug-inducedWarfarinErgotismInjection ulcerPeripheral Neuropathy or PostitioningDiabetic NeuropathyCharcot JointPressure Sore (Decubitus Ulcer)Systemic Diseaseo Diabetes Mellituso Congestive Heart Failureo Malnutritiono Anemia